The muscle which is required to open Eustachian tube.
1. Tensor veli palatini muscle
2. Salpingo pharyngeus
3. Tensor tympani
4. Levator veli palatini

Correct answer: 1. Tensor veli palatini muscle

Explanation: Eustachian tube isclosed at rest&opens intermittentlyduring swallowing/yawning/sneezing. Opening of the tube The medial fibres of thetensor veli palatiniare attached to the lateral lamina of the tube and contract to open the tubal lumen. They are also calleddilator tubaemuscle. Accessory muscles for opening areLevator veli palatine & Salpingopharyngeus. Closure of the tube It is mainly due toelastic recoil of the cailageaided by the high degree of elastin on the roof. Ostmann's pad of fathelps to keep the tube closed.